Not caused by Aedes Mosquito is:
1. Yellow fever
2. Dengue
3. Dengue hemorrhagic fever
4. Japenese encephalitis

Correct answer: 4. Japenese encephalitis

Explanation: Japenese encephalitis